The epithelium is absent in lens on
1. Anterior surface
2. Posterior surface
3. Anterior pole
4. At zonular attachment

Correct answer: 2. Posterior surface

Explanation: There is no posterior epithelium, as these cells are used up in filling the central cavity of lens vesicle during The epithelium development of the lens.